Which cranial nerve passes through diaphragm?
1. 6
2. 7
3. 8
4. 10

Correct answer: 4. 10